A 45-year-old man, known case of chronic renal failure develops rugger jersey spine. The probable cause it -
1. Aluminium intoxication
2. Secondary hyperparathyroidism
3. Osteoporosis
4. Osteomalacia

Correct answer: 2. Secondary hyperparathyroidism